Which is the most lateral structure passing through the
canal in the flexor retinaculum of foot
1. Flexor digitorum longus tendon
2. Tibialis posterior tendon
3. Flexor Hallucis longus tendon
4. Posterior tibial vessels

Correct answer: 3. Flexor Hallucis longus tendon

Explanation: Structure passing through the canal in the flexor retinaculum of foot ( from medial to lateral)

Tibialis posterior tendon
Flexor digitorum longus tendon
Posterior tibial vessels
The tibial nerve
Flexor Hallucis longus tendon